Which among the following is the most common side effect of IUD insertion?
1. Bleeding
2. Uterine perforation
3. Pelvic infection
4. Ectopic pregnancy

Correct answer: 1. Bleeding

Explanation: The most common side effects reported by IUD users are cramping and bleeding. These symptoms can be minimized with the use of a nonsteroidal anti-inflammatory drug. However, if symptoms are persistent or severe the patient should be evaluated for infection or perforation. Other side effects are dysmenorrhea, expulsion, or uterine perforation. Ref: Brunsell S.C. (2011). Chapter 17. Contraception. In J.E. South-Paul, S.C. Matheny, E.L. Lewis (Eds), CURRENT Diagnosis & Treatment in Family Medicine, 3e.